A 40-year-old man underwent kidney transplantation. Two month after transplantation, he developed fever and feature suggestive of bilateral diffuse interstitial pneumonia. Which of the following is most likely etiologic agent?
1. Herpes simplex virus
2. Cytomegalovirus
3. Epstein-barr virus
4. Varicella , zoster virus

Correct answer: 2. Cytomegalovirus

Explanation: Ans. (b) Cytomegalovirus Remember CMV is the MC infection complicating organ transplantation. CMV is MC cause of intrauterine infection. Risk of post-transplant CMV infection is greatest 5-13 weeks after transplant Infections after Kindeny Transplan Period after transplanatation Infection site Early (< 1 month) ttiddle(1-lmonths) lafc(> 6 months) Urinary fact Bacteria (Escherichia coli, Klebsiella, Enterobac- teriaceae, Pseudomonas,Enterococcus) associated withbacteremia and pyelonephritis,Candida Cytomega(fever alone is common)BK virus (nephropathy, grafr failure, vasculopathy), JC virus. Bacteria; late infections usuallynot associaed with bacteremia Lungs Legionella CMV diffuse interstitial pneumonitis, Pneumocystis, Aspergillus, Legionella Nocardia, Aspergills, Mucor Central nervoussystem Listeria meningitis, CMV encephalitis, Toxoplasma gondii CMV retinitis, Listeria meningitis, cryptococcal meningitis, Aspergillus, Nocardia